GFR is increased by
1. ANP
2. Vasopressin
3. Histamine
4. Endothelium

Correct answer: 1. ANP

Explanation: Atrial natriuretic peptide (ANP) a hormone involved in natriuresis and the regulation of renal and cardiovascular homeostasis. It is synthesized as a prohormone in the granules of the myocytes of the atrium and is released into the circulation in response to atrial dilation or increased intravascular fluid volume.Ref: Ganong's review of medical physiology; 24th edition; page no; 707